Which one of the follwing is the ECG hallmark of hypothermia-
1. Prominent U wave
2. Inverted T wave
3. Bizarre QRS wave
4. Osborne J wave

Correct answer: 4. Osborne J wave

Explanation: ECG Changes in Hypothermia Hypothermia may produce the following ECG abnormalities: Bradyarrhythmias (see below) Osborne Waves (= J waves) Prolonged PR, QRS and QT intervals Shivering artefact Ventricular ectopic Cardiac arrest due to VT, VF or asystole Ref Harrison 20th edition pg 1445